Which of the following is not a suprahyoid space?
1. Masticator space
2. Peritonsillar space
3. Anterior visceral space
4. Parapharyngeal space

Correct answer: 3. Anterior visceral space

Explanation: Ans. is'c'i.e., Anterior visceral spaceRef: Ballenger's Otorhinolaryngology: Heat and Neck Surgery 1//e by james Byron Snow, Phillip A. Wackym, John lacob Ballenger p. 1021, Cummings Otolaryngology- Head and Neck Surgery Sh/e, Ch. 14Suprahyoid neckThese spaces are :-Peritonsillar spaceSubmandibular 6 sublingual spacesPrestyloid parapharyngeal spaceMasticator spaceParotid space